A person of 60 years age is suffering from myositis ossificans progressive. The usual cause of death would be -
1. Nutritional deficiency
2. Bed sore
3. Lung disease
4. Septicemia

Correct answer: 3. Lung disease

Explanation: Severe restrictive chest wall disease reduces pulmonary volumes and predisposes to right ventricular dysfunction (cor pulmonale).
Cardiopulmonary failure may lead to premature death.